Auditory transmission is via
1. Lateral lemniscus
2. Medial lemniscus
3. Lateral geniculate body
4. Frontal cortex

Correct answer: 1. Lateral lemniscus